Schizophrenia false is
1. 3rd person auditory hallucination
2. Inappropriate emotions
3. Sustained mood changes
4. Formal thought disorder

Correct answer: 3. Sustained mood changes

Explanation: Sustained mood changes [Ref Neeraj Ahuja 6111/e p 57, 58, 61, 651 First rank symptoms of schizophrenia (A) Hallucinations Audible thoughts Voices heard arguing Voices commenting on one's action (3rd person hallucination) (B) Thought alienation phenomenon (Formal thought disorder) Thought withdrawl Thought insertion Thought diffusion or broadcasting (C) Passivity phenomenon (Inappropriate emotions) Made feeling or affect Made impulses Made volition or acts Somatic passivity (D) Delusional perception The delusions included in the first rank symptoms of schizophrenia are primary delusions also known as autoconthous delusions. Also remember Eugen Bleuer's fundamental symptoms of schizophremia Ambivalence ---> Severe inability to decide for or against Autism --> Withdrawl into self Affect disturbance - Inappropriate affect